All of the following statements about congenital rubella are true except
1. IgG persists for more than 6 months
2. IgM antibody present at birth
3. Most common anomalies are hearing and heart defects
4. Increased risk of congenital malformation if infection occur after 16 weeks.

Correct answer: 4. Increased risk of congenital malformation if infection occur after 16 weeks.

Explanation: The classical triad of symptoms consists of deafness , cataract and congenital heart disease . Delayed manifestations such as diabetes mellitus and renal disease have also been described . Diagnosis is by demonstrating Ig M antibodies in cord or neonatal blood or ig G after 6 months . Reference : GHAI essential paediatrics 9 th edition pg : 264